Pregnancy requirement of folic acid per day
1. 100 micrograms
2. 500 milligrams
3. 300 micrograms
4. 500 micrograms

Correct answer: 4. 500 micrograms

Explanation: Ref:Park's Text book of Preventive and Social Medicine 25th ed